Which of the following is a carbonic anhydrase inhibitor?
1. Acetazolamide
2. Hydrochlorothiazide
3. Furosemide
4. Mannitol

Correct answer: 1. Acetazolamide

Explanation: Carbonic anhydrase is an enzyme which catalyses the reversible reaction H2O + CO2 - H2C03 Hence, Carbonic anhydrase functions in CO2 and HC03 transport and in H+ ion secretion. Carbonic anhydrase inhibitors act by non-competitive but reversible inhibition of this enzyme. eg- tazolamide, dorzolamide and brinzolamide. Hydrochlorothiazide-Inhibits Na-Cl- symporter acts on distal tubule Furosemide-loop diuretic acting on NA+-K+-2CL PUMP Mannitol-OSMOTIC diuretic